SI unit for measuring Blood pressure is
1. Torr
2. mm Hg
3. kPa
4. Barr

Correct answer: 3. kPa

Explanation: Commonly used - mmHg
 
SI Unit- kPa